Most important diameter of pelvis during labour is:
1. Interspinous diameter of outlet
2. Oblique diameter of inlet
3. AP diameter of outlet
4. Intertubercular diameter

Correct answer: 1. Interspinous diameter of outlet

Explanation: Ans. is a, i.e. Interspinous diameter of the outletRef. Williams Obs. 24/e, p 33; Dutta Obs. 9/e, p 82Interspinous diameter is the distance between the two ischial spines and is the smallest diameter of the pelvis = 10 cm or slightly greater. It corresponds to the transverse diameter of midpelvis (i.e. plane of least pelvis dimensions).